Which of the following can cause Teratogenecity.
1. Vit.C
2. Vit.E
3. Vit.A
4. Vit.D

Correct answer: 3. Vit.A

Explanation: Ans. is 'c' Vitamin A * The teratogenic effects of Vitamin A have been dealt before.